Pulsatile proptosis is a feature of-
1. orbital varix
2. Retinoblastoma
3. Cortico - cavernous fistula
4. Covernous sinus thrombosis

Correct answer: 3. Cortico - cavernous fistula

Explanation: *Coicocavernous fistula causes pulsatile proptosis. Ref: Clinical ophthalmology 2nd/e p.786